Salt and pepper fundus occurs in
1. Toxoplasma
2. Toxocara
3. Rubella
4. Ehlers Danlos syndrome

Correct answer: 3. Rubella

Explanation: C i.e. Rubella Congenital syphilis show dusty discrete pigmentation of peripheral retinae where multitude of black & white spots appears ('pepper & salt fundus' Q) + anterior retinitis + interstitial keratitis